Which of the following is False regarding fibromuscular dysplasia ?
1. Most common histologic subtype is medial fibroplasia
2. Mostly affects medium sized vessels
3. Most common in young males
4. String of beads appearance is seen on angiography

Correct answer: 3. Most common in young males

Explanation: Fibromuscular dysplasia (FMD) Abnormal development or growth of cells in the walls of arteries that can cause the vessels to narrow or bulge. Most common form- Medial fibrosis Young women and affects the distal 2/3 of the main renal artery. Bilateral. The iliac arteries are the limb arteries most likely to be affected by fibromuscular dysplasia. Gross: Alternating thickened and thinned arterial walls give rise to the characteristic "sausage-string" or "string of beads" appearance (especially as seen on angiography) Histology: fibromuscular thickening of the media alternating with areas of thinning and loss of the internal elastic lamina.